Gluten sensitive enteropathy is most strongly associated with
1. HLA DQ2
2. HLA DR4
3. HLA DQ3
4. Blood group B

Correct answer: 1. HLA DQ2

Explanation: Almost all people with celiac disease carry the class II HLA-DQ2 or HLA-DQ8 allelles. ROBBINS BASIC PATHOLOGY NINTH EDITION PAGE 578